Most common injury-related deaths in pediatrics is due to
1. Road traffic accidents
2. Homicides
3. Burns
4. Drowning

Correct answer: 1. Road traffic accidents

Explanation: Cause of deaths in pediatric population by injuriesRoad traffic accidents - Most commonDrowning - 2nd Most commonFire-related burns - 3rd Most commonHomicideFallsPoisoningWar(Refer: OP Ghai's Textbook of Pediatrics, 8th edition, pg no. 682)